The last organ to putrefy after death is
1. Heart
2. Prostate
3. Stomach
4. Brain

Correct answer: 2. Prostate

Explanation: As general rule organs show putrefactive changes in the following order 1) Larynx and trachea2) Stomach, intestines, and spleen3) Liver, lungs4) Brain5) Heart6) Kidney, bladder, uterus, prostate7) Skin, muscle, tendon8) Bones